Narrowest part in infant's respiratory tract is:
1. Subglottis
2. Glottis
3. Carina
4. None of these

Correct answer: 1. Subglottis

Explanation: (a) Subglottis(Ref. Scott Brown, 8th ed., Voll; 326)In infant's larynx the diameter of cricoid cartilage is smaller than the glottis, making subglottis the narrowest part, whereas in adults the narrowest part is the glottis.